A patient presents with flashing light, sudden floaters and perception of a curtain falling in front of the eye. Which of the following is the most likely diagnosis?
1. Rhegmatogenous Retinal Detachment
2. Tractional Retinal Detachment
3. Vitreous Hemorrhage
4. Eale's disease

Correct answer: 1. Rhegmatogenous Retinal Detachment

Explanation: Retinal detachment produces symptoms of floaters, flashing lights and a scotoma in the peripheral visual field corresponding to the detachment. The typical syptoms is described as 'a curtain obstructing part of the vision' with the development of detachment. Ref: Harrisons 16th/170; Colour atlas of ophthalmology - Page 74.